Carcinoma Anal canal: Treatment of choice is
1. Chemoradiation
2. Radiotherapy + chemotherapy following APR
3. Radiotherapy
4. Radiotherapy + APR

Correct answer: 1. Chemoradiation

Explanation: Treatment is by chemoradiotherapy in the first instance.Major ablative surgery is required if the above fails,Uncommon tumour, which is usually a squamous cell carcinoma Ref: Bailey & Love's Short Practice of Surgery,E25,Page-1269